Magical thinking is seen in which type of personality disorder
1. schizotypal
2. borderline
3. narcisstic
4. histirionic

Correct answer: 1. schizotypal

Explanation: * SCHIZOTYPAL PERSONALITY DISORDER * Ideas of reference (not delusions) * Odd beliefs and magical thinking * Unusual perceptual disturbances * Paranoid ideation and suspiciousness * Odd thinking and speech without coherence * SUPERSTITIONS/TELEPATHY * ODD DRESSING * ODD SPEECH LACK OF EMOTIONS Ref.KAplon and Sadock, synopsis of psychiatry, 11 th edition, pg no.744